The third point of reference (common) for a facebow is
1. Pupil of eye
2. Glabella
3. Infraorbital notch
4. None of the above

Correct answer: 3. Infraorbital notch